True about saphenous opening
1. Transmits saphenous nerve
2. Lies 4 cm lateral and superior to pubic tubercle
3. Covered by cribriform fascia
4. Opening in fascia cruris

Correct answer: 3. Covered by cribriform fascia

Explanation: SAPHENOUS OPENING:- Oval opening in fascia lata.Centre of opening is 4 cm below and 4 cm lateral to the pubic tubercle.2.5cm long 2 cm broad. The opening has a sharp crescentic margin or falciform margin which lies in front of the femoral sheath.Saphenous opening is closed by the cribriform fascia formed by the modification of superficial fascia which covers the opening. {Reference: BDC 6E pg no. 45}